Down fracture of zygomatic arch is done in the treatment of
1. TMJ ankylosis
2. Chronic Subluxation
3. Condylar fracture
4. Zygomatic fracture

Correct answer: 2. Chronic Subluxation